Which of the following is the most common sustained tachyarrhythmia in children?
1. Ventricular tachycardia
2. Supra ventricular tachycardia
3. Atrial Flutter
4. Atrial fibrillation

Correct answer: 2. Supra ventricular tachycardia

Explanation: Ans. B. Supra ventricular tachycardiaSupraventricular tachycardia is the most common sustained tachyarrhythmia in children with an incidence of 1 to 4 children per thousand. Infants with SVT present with signs of congestive heart failure. Older children present with palpitations, chest discomfort and dyspnea. The ECG shows a regular rate of 220-300/min.